Prussak's space is related to -
1. Mesotympanum
2. Epitympanum
3. Hypotympanum
4. Inner ear

Correct answer: 2. Epitympanum

Explanation: Ans. is 'B' i.e., Epitympanum o The middle ear lies between the tympanic membrane laterally and the cochlea medially. The middle ear (tympanic cavity) is divided into Mesotympanum (tympanic cavity proper) It is the narrowest part of tympanic cavity (transverse dimension is 2 mm). It lies opposite to pars tensa. Epitympamim (attic) It is the part of tympanic cavity which extends above the tympanic membrane (pars tensa) and lies opposite (medial) to shrapnel's membrane (pars flacida) and bony lateral attic wall. It is the widest part of tympanic cavity (transverse dimension is 6 mm). Epitympanum (attic) communicates with mastoid air cell system, through a small opening called aditus. Prussak's space communicates with epitympanum through a posterior gap. Attic area (epitympanum) is a crowded place and only a thin plat of bone (tegmen) separates this region from middle cranial fossa. Any infection in this area is prone to affect the temporal lobe of brain through erosion of this plate. Infections and inflammations in this area are considered to be unsafe due to impending intracranial complications. C) Hypotympanuni # It is the part of the tympanic cavity which extends below the pars tensa. Its transverse dimension is 4 mm. o Sometimes the portion of middle ear around the tympanic orifice of the eustachian tube is called as protympanum.